Corticosteroids inhibit _______ to decrease synthesis of prostaglandins
1. Phospholipase - C
2. Lipoxygenase
3. Phospholipase - A2
4. Cyclo-oxygenase

Correct answer: 3. Phospholipase - A2

Explanation: Corticosteroids inhibits Phopholipase A2 through lipocortins and prevent breakdown at Arachidonic acid and synthesis of prostaglandins.